Best investigation when there is clinical suspicio of pulmonary embolism in a patient is -
1. D - Dimer assay
2. Multi detector CT angiography
3. Doppler ultrasound
4. Catheter angiography

Correct answer: 2. Multi detector CT angiography